Radiation is most commonly associated with which of the following cancer ?
1. Leukemia
2. Lymphoma
3. Lung carcinoma
4. Osteoblastoma

Correct answer: 1. Leukemia

Explanation: Answer- A. LeukemiaLeukemia is the most common radiation induced cancer. All leukemias, except CLL, can be caused by radiations.